Blood supply of facial nerve is/are
1. Ascending pharyngeal artery
2. Middle meningeal artery
3. Stylomastoid branch of occipital artery
4. All

Correct answer: 4. All

Explanation: A , B, C i.e. Ascending pharyngeal artery, Middle meningeal artery, Stylomastoid branch of occipital artery